In Post radical neck dissection shoulder syndrome, all are seen except:
1. Restricted range of movement
2. Pain
3. Shoulder drooping
4. Normal electromyographic finding

Correct answer: 4. Normal electromyographic finding

Explanation: Ans. is 'd' i.e. Normal electromyographic finding In Radical neck dissections the most crippling complication is the "Shoulder Syndrome" arising from denervation and atrophy of the trapezius muscle due to sacrifice of the spinal accessory nerve (SAN).Shoulder syndrome is characterized by:inability to abduct the shoulder beyond 90 degrees cephaladlong standing pain in the shoulderdeformity of the shoulder girdle drooping of the shoulder and shoulder abduction, and external rotation